Boxer's fracture is -
1. Radial styloid fracture
2. Reverse colle's fracture
3. 5 th metacarpal fracture
4. 1st metacarpal fracture

Correct answer: 3. 5 th metacarpal fracture

Explanation: Ans. is 'c' i.e., 5th metacarpal fracture EponymFractures of Upper limbMontegia fracture dislocationFracture of the proximal third of ulna with radial head dislocation.Galeazzi fracture dislocationFracture of the distal third of the radius with dislocation of the distal radio-ulnar joint.Colie's fractureFracture at cortico-cancellous junction of the distal-end of radius with dorsal tilt.Bennet's fractureOblique intra-art icular fracture of the base of the 1st metacarpal.Night stick fractureIsolated fracture of the shaft of the ulna.Smith's fractureA fracture of distal end of radius at cortico-cancellous junction with ventral tilt and displacements (reverse Colle's fracture).Barton's fractureA vertical, marginal intra-articular fracture of the distal end of radius occurring with volar or dorsal displacement.Chauffeur fractureAn intra-articular oblique fracture of the styloid process of the radiusBoxer's fractureA fracture through the neck of the 5th metacarpal.